All are examples of medium vessel vasculitis EXCEPT?
1. Classic PAN
2. Kawasaki disease
3. Buerger disease
4. SLE

Correct answer: 4. SLE

Explanation: Ref: Robbins Pathology, 9th ed. pg. 506, 509-10Large vessel vasculitisMedium vessel vasculitisSmall vessel vasculitis* Giant cell arteritis* Takayasu's arteritis* Classic PAN* Kawasaki* Buerger diseaseImmune complex mediated* SLE* HSP* Cryoglobulin vasculitis* Good pasture syndromePauci- immune* Wegener's granulomatosis* Microscopic polyangitis* Churg Strauss syndrome